2,3 DPG causes -
1. Decrease binding of O2 and hemoglobin
2. Increased acidity in RBC
3. Decreased acidity in RBC
4. Lysis of RBC

Correct answer: 1. Decrease binding of O2 and hemoglobin

Explanation: Ans. is 'a' i.e., Decrease binding of O2 and hemoglobin